Which of the following anesthetize mucosa is snot Primarily used anesthetize mucosa
1. Benzocaine
2. Lidocaine
3. Bupivacaine
4. Tetracaine

Correct answer: 3. Bupivacaine

Explanation: Bupivacaine cannot be used as surface anesthetic agent Bupivacaine is contraindicated in intravenous regional anesthesia due to fear of cardiac arrhythmia